List of the charges established or agreed to, by a dentist for specific dental services:
1. Table of allowances
2. Fee schedule
3. Reasonable fee
4. Capitation

Correct answer: 2. Fee schedule